All are true about Duchene Muscular Dystrophy Except:-
1. Swollen Calf is present
2. Patient uses his own body to climb up.
3. Distal muscle weakness is seen
4. Cardiomyopathy and congestive heart failure are seen

Correct answer: 3. Distal muscle weakness is seen

Explanation: Explanation Proximal muscle weakness is seen Defect in Dystrophin gene (Largest gene in human) Swollen calf - Pseudohypertrophy of calf (Fibrous fatty deposit) Gower's sign: -Patient uses his own body to climb up as there is proximal muscle weakness. X-linked recessive (Xp 21) Average life span is 26 years Boys- more common Definitive diagnosis is by muscle biopsy and genetic studies.